A 15 year old healthy boy with no major medical problem complaints that he breaks out with blocky areas of erythema that are pruritic over skin of his arm, leg and trunk every time within an hour of eating sea foods. The clinical features are suggestive of ?
1. Localised immune - complex deposion
2. Cell modulatedhypersensitivity
3. Localized anaphylaxis
4. Release of complement Cab

Correct answer: 3. Localized anaphylaxis

Explanation: Ans. is 'c' i.e., Localized anaphylaxis